Dengue fever is characterized by all except
1. Rash
2. Fever
3. Thrombocytopenia
4. Increased clotting time

Correct answer: 4. Increased clotting time

Explanation: Ans. d (Increased clotting time). (Ref. Harrison, Medicine, 18th/Table. 17-1)DENGUE HAEMORRHAGIC FEVER# Vector of transmission is Aedes aegypti.# Acute onset with fever, arthralgia, headache, adenopathy, conjunctival injection and bradycardia.# Continuous saddle back fever with break on 4th/5th day.# Morbilliform rash--3 to 5 days, centrifugal spread.# Hemorrhagic form of dengue fever is characterized by thrombocytopenia, hemoconcentration, hypotension and fever. (AI'2005).Dengue fever caused by Dengue virus (4 serotypes; flaviviruses)Rash in 50% of cases; initially diffuse flushing; midway through illness, onset of maculopapular rash, which begins on trunk and spreads centrifugally to extremities and face; pruritus, hyperesthesia in some cases; after defervescence, petechiae on extremities in some casesHeadache, musculoskeletal pain ("breakbone fever"); leukopenia; occasionally biphasic ("saddleback") fever.